Crown completion of Mandibular 2nd molar occur
1. At birth
2. 1 ½ year
3. 12 year
4. 7-8 year

Correct answer: 4. 7-8 year